3 year old sister of a neonate is suffering from pertussis, which has been documented by isolation and culture of the organism. Most appropriate statement regarding this clinical situation is -
1. If mother received pertussis vaccine, the neonate is protected
2. Hyperrimmune globulin is indicated for the neonate
3. Erythromycin prophylaxis is indicated in the neonate
4. DPT vaccine is recommended for the elder child

Correct answer: 3. Erythromycin prophylaxis is indicated in the neonate

Explanation: Those known to have been in contact with whooping cough may be given prophylactic antibiotic(erythromycin or ampicillin) treatment for 10 days to prevent the infecting bacteria to become established. Reference:Park's textbook of preventive and social medicine,K.Park,23rd edition,page no:164.